FAST stands for:
1. Focused assessment with sonography for trauma
2. Focused abdominal sonography for trauma
3. Fast assessment with sonography for trauma
4. Fast assignment with sonography and tomography (computed)

Correct answer: 1. Focused assessment with sonography for trauma

Explanation: Ans. (a) Focused assessment with sonography for traumaRef: Sabiston 19/e p437* Focused ASSESSMENT is the correct term but even text books commonly use the term - "Focussed Abdominal Sonogram of Trauma"* We assess 6 areas as discussed in theory part* Old editions used to mention 4 areas are assessed.* To assess presence of blood in peritoneum or pericardium.* Focuses on six areas only: pericardial, splenic, hepatic, pelvic areas, Right and Left paracolic areas* It will detect blood more than 100ml only* It will not detect hollow viscus injury.* It cannot exclude injuries in Penetrating trauma.* Operator dependent.* In FAST we will not assess the grade of the injury - we will assess only whether is injury.